Which of the following is the most likely diagnosis in a 27-year-old obese woman presenting with Oligomenorrhea, infertility and hirsutism?
1. Polycystic ovaries
2. Endometriosis
3. Pelvic inflammatory disease
4. Turner's syndrome

Correct answer: 1. Polycystic ovaries

Explanation: Ans. is a, i.e. Polycystic ovariesRef: Shaw 15th/ed, p371; Novak 14th/ed, p1076A young woman presenting in the third decade with obesity, oligomenorrhea, infertility and hirsutism leaves no doubt for the diagnosis of PCOS.According to Rotterdam criteria - PCOD is diagnosed if any 2 of the following criteria are being fulfilled:i. Ovulatory dysfunction such as oligomernorhea or hyperandrogenism.ii. Clinical or biochemical evidence of hyperandrogenism.iii. USG criteriaSince this female, has oligomenorrhea and hirsutism, so 2 of the criteria are being fulfilled.